Surgery for undescended testes is ideally performed before what age?
1. 6 months
2. 12 months
3. 24 months
4. 36 months

Correct answer: 2. 12 months

Explanation: Surgical correction of undescended testis should be done at 6 months and maximum by 1 year. Ref: Nursing care of the pediatric surgical patient By Nancy Tkacz Browne, Page 147-8; CPDT 20th Edition, Page 974.